Which of the following fibers restrict extrusion of tooth in orthodontics:
1. Alveolar crest
2. Oblique
3. Apical
4. Horizontal

Correct answer: 1. Alveolar crest